All of the following are seen in deep vein thrombosis except
1. Pain
2. Discolouration
3. Swelling
4. Claudication

Correct answer: 4. Claudication

Explanation: Claudication occurs in arterial occlusion